Rickets in an infant is present as all Except
1. Craniotabes
2. Widened Fontanel
3. Rachitic Rosary
4. Bow legs

Correct answer: 4. Bow legs

Explanation: Long bones of legs get deformed when the child starts bearing weight. Therefore leg deformities are unusual before the age of 1 year. Ref: Ghai essential pediatrics; 6th edition; Page 128